In a patient with nephrotic syndrome and hypoalbuminemia, protein binding of which drug will not be affected:
1. Tolbutamide
2. Morphine
3. Diazepam
4. Valproate

Correct answer: 2. Morphine

Explanation: - In the given options, only Morphine has less plasma protein binding (35%), whereas all others are highly plasma protein bound (>90%).
- In nephrotic syndrome, there will be protein loss resulting in hypoalbuminemia. So less plasma proteins.